True about endometriosis:
1. Presence of endometrial gland in deep myometrium
2. Presence of endometrium at ectopic locations
3. Treated preferably with hysterectomy
4. Seen in multiparous women

Correct answer: 2. Presence of endometrium at ectopic locations

Explanation: Endometriosis Presence of endometrial tissue at ectopic location Etiology : Retrograde menstruation Proposed by Sampsons ( Sampsons Implantation theory) 70-80% of all women have retrograde menses Among them 5-10% have poor immunity and | estrogenecity and develops Endometriosis NOTE: Option A, C, D, are related to Adenomyosis